Catgut is prepared from submucosal layer of theintestine of -
1. Cat
2. Sheep
3. Human being
4. Rabbit

Correct answer: 2. Sheep

Explanation: Ans. is 'b' i.e., Sheep